Which of the following microorganisms are commonly present in large percentage of root canal treated teeth that present with persistent periradicular lesions indicative of failed treatment?
1. Porphyromonasgingivalis
2. Tannerella forsythia
3. Dialisterinvisus
4. Enterococcus faecalis

Correct answer: 4. Enterococcus faecalis